Which of the following is not a derivative of amino acid tyrosine
1. Thyroxine
2. Melatonin
3. Melanin
4. Epinephrine

Correct answer: 2. Melatonin

Explanation: Melatonin and serotonin are derivatives of Tryptophan.